Murder is punished under
1. 300 IPC
2. 307 IPC
3. 302 IPC
4. 304 IPC

Correct answer: 3. 302 IPC

Explanation: Refer the byte "Legal sections".